R-RNA is mainly produced in
1. Nucleus
2. Nucleolus
3. Ribosome
4. Endoplasmic reticulum

Correct answer: 2. Nucleolus

Explanation: rRNA is produced by the cell's nucleolus. Ribosomal proteins are translated from mRNA outside the nucleus by ribosomes and then sent back in so they can be used for ribosome subunits assembly in the nucleolus.